Germ cell tumours of testis are -a) Seminomab) Teratomac) Leydig cell tumourd) Gynandroblastomae) Rhabdomyoma
1. ac
2. a
3. ad
4. ab

Correct answer: 4. ab